Inheritance of "Wilsons disease " is
1. AD
2. AR
3. X Linked dominant
4. X linked recessive

Correct answer: 2. AR

Explanation: AR autosomal recessive